In LVH, SV1 +RV6 is more than mm
1. 25
2. 30
3. 35
4. 45

Correct answer: 3. 35

Explanation: Ans. is 'c' i.e., 35 Arrhythmias by Kathryn Lewis p. 219] o In LVH, SV-1 plus RV-6 is more than 15 mm. To diagnose the left ventricular hypertrophy on ECG one of the following criteria should be met :? The sokolow-lyon criteria is most often used - R in V, or V6 + 5 in V > 35 mm in men The cornell-criteria has different values R in aVL and S in V3 > 28 mm in men R in aVL and S in V3 > 20 mm in women As the left ventricular wall becomes thicker QRS complexes are larger in leads V1-V6 S wave is deep in V, R wave is high in V4 ST depression in V,,-V, (strain pattern)